An acute inflammation of the lymphatics of the skin or mucous membrane is known as:
1. Carbuncle.
2. Furuncle.
3. Cellulitis.
4. Erysipelas.

Correct answer: 4. Erysipelas.